Which among the following is a mode of primary prevention?
1. Pap smear collection
2. Marriage counselling
3. Breast examination
4. Rehabilitation

Correct answer: 2. Marriage counselling

Explanation: Since marriage counselling is a form of health education it is a mode of primary prevention. Both pap smear collection and breast examination is a mode of secondary prevention as the disease has already occurred and rehabilitation is a tertiary mode of prevention. Ref: Park, Edition - 21, Page - 39